Most common site of Actinomyces is
1. Cervicofacial
2. Thorax
3. Abdomen
4. Brain

Correct answer: 1. Cervicofacial

Explanation: Actinomycosis in human beings occurs in four main clinical forms: Cervicofacial: it is more common, with indurated lesions on the cheek and submaxillary regions Thoracic: Abdominal: Pelvic: Ref: Textbook of microbiology; Annthanarayan and paniker's; 10th edition; Pg: 399